Tumour having a "Swiss cheese appearance" is
1. Pleomonphic adenoma
2. Rhabdomyosarcoma
3. Basal cell carcinoma
4. Adenoid cystic carcinoma

Correct answer: 4. Adenoid cystic carcinoma

Explanation: Histologically Adenoid cystic carcinoma shows swiss cheese appearance with cribriform growth.